Which of the following is cariostatic?
1. Selenium
2. Magnesium
3. Cadmium
4. Molybdenum

Correct answer: 4. Molybdenum